Which of the following clinical specimen for detection of BK polyomavirus by electron microscopy?
1. Brain tissues
2. Urine
3. Blood
4. None of the above

Correct answer: 2. Urine

Explanation: Ans. is 'b' i.e., Urine (Ref: Dr D.R. Arora, 3rd/e, p. 552)* BK virus was isolated from urine of a renal transplant recipient, causes subclinical infection of children before the age of 10; virus persists for throughout life in kidneys. Reactivation may occur in last trimester of pregnancy and following immunosuppression for organ transplantation.